A 43-year-old lady presents with a 5 cm lump in right breast with a 3 cm node in the supraclavicular fossa. Which of the following TNM stage she belongs to as per the latest AJCC staging system -
1. T2N0M1
2. T1N0M1
3. T2N3M0
4. T2N2M0

Correct answer: 3. T2N3M0